In case of uncontrolled epistaxis ligation of internal maxillary artery is to be done in the:
1. Maxillary antrum
2. Pterygopalatine fossa
3. In the neck
4. Medial wall of orbit

Correct answer: 2. Pterygopalatine fossa

Explanation: (b) Pterygopalatine fossa(Ref. Scott Brown, 8th ed., Vol 1; 1178)The maxillary artery which is also called internal maxillary artery along with sphenopalatine and greater palatine artery lies in the sphenopalatine/ pterygopalatine fossa just behind the posterior wall of maxillary antrum.In uncontrolled epistaxis ligation of internal maxillary artery is to be done in the sphenopalatine fossa via Caldwell-Luc operation.